Bulls eye retinopathy is seen in toxicity of-
1. Quinine
2. Tobacco
3. Ethanol
4. Chloroquine

Correct answer: 4. Chloroquine

Explanation: Chloroquine and hydroxychloroquine can cause toxic retinopathy due to their binding of melanin in the retinal pigmented epithelium (RPE) as well as direct toxicity to retinal ganglion cells. Early findings include mottling of the RPE and blunted foveal reflex. As the retinopathy progresses, a bull's-eye maculopathy develops, as seen in this image. In addition to the bull's-eye maculopathy, patients can demonstrate paracentral scotomas on visual field testing and parafoveal outer retinal atrophy on OCT. Other causes of Bulls Eye Maculopathy- Cone dystrophy Cone rod dystrophy Inverse retinitis pigmentosa Stargardt's disease.